Subacute sclerosing panencephalitis is late neurological complication associated with infection due to
1. Mumps virus
2. Measles virus
3. Rubella virus
4. Para influenza virus

Correct answer: 2. Measles virus

Explanation: Subacute sclerosing panencephalitis occurs 7 - 13 years after primary meastes infection. It has fatal outcome.